True about panacinar emphysema:
1. Apical region commonly involved
2. Usually presents in 6th decade
3. Alpha-1 antitrypsin deficiency
4. Involves whole lung

Correct answer: 3. Alpha-1 antitrypsin deficiency

Explanation: Ans. C: Alpha-1 antitrypsin deficiency Panacinar emphysema refers to abnormally large airspaces evenly distributed within and across acinar units. Panacinar emphysema is usually observed in patients with alphal-antitrypsin deficiency Emphysema/ pink puffers: Permanent and destructive enlargement of airspaces distal to the terminal bronchioles without obvious fibrosis and with loss of normal architecture Panacinar emphysema involves both central and peripheral portions of the acinus Smoking is the commonest precipitant Breathlessness is characteristic feature